All of the following statements about Antiphospholipid Antibody Syndrome (APLAb) are true, Except :
1. Single titre of Anticardiolipin is diagnostic
2. Commonly presents with recurrent fetal loss
3. May cause pulmonary hypertension
4. Warfarin is given as treatment

Correct answer: 1. Single titre of Anticardiolipin is diagnostic

Explanation: Answer is A (Single titre of Anticardiolipin is diagnostic): Single titre of anticardiolipin antibodies does not establish a diagnosis of APLAb syndrome Laboratory criteria require anticardiolipin antibodies to be present on 2 or more occasions at least 12 weeks apart. A Definite diagnosis of Antiphospholipid Syndrome requires at least one clinical criteria and one laboratory criteria to be met. Diagnostic Criteria for Antiphospholipid Syndrome Definitive Antiphospholipid Syndrome is said to be present if atleast one of the clinical criteria and one of the laboratory criteria are met Clinical Criteria Laboratory Criteria * Vascular Thrombosis (Arterial and/or Venous) * Anticardiolipin Antibody of IgG and /or IgM One or more clinical episodes of arterial, venous or small vessel isotype in serum or plasma on 2 or more thrombosis in any tissue or organ. occasions, at least 12 weeks apart * Lupus anticoagulant present in plasma, on 2 or * Pregnancy morbidity more occasions at least 12 weeks apart a. One or more unexplained deaths of a morphologically normal * Anti-13,- 21vcoprotein-1 antibody of IgG and or fetus at or beyond the 10th week ofgestation, with normal IgM isotype in serum or plasma, present on 2 or fetal morpholoogy b. One or more premature births of a morphologically normal more occasions, at least 12 weeks apart neonate before the 34th week of gestation because of: (a) eclampsia or severe preeclampsia (b) placental insufficiency (c) Three or more unexplained consecutive spontaneous abortions before the 10th week of gestation, with maternal anatomic or hormonal abnormalities and paternal and maternal chromosomal causes excluded. Recurrent fetal loss is a common manifestation of Antiphospholipid Syndrome Recurrent fetal loss is an established Pregnancy associated morbidity of Antiphospholipid syndrome and is included in the diagnostic criteria (Refer previous question) Antiphospholipid Syndrome may cause Pulmonary Hypertension Pulmonary hypertension may be seen as a consequence of recurrent subclinical pulmonary emboli (Refer previous question) Warfarin is used in the treatment of Antiphospholipid Syndrome 'The mainstay of treatment of Antiphospholipid Syndrome is Warfarin' - Harrison